Which of the following does not cause hypoglycemia ?
1. Insulin
2. Glimepiride
3. Metformin
4. Gliclazide

Correct answer: 3. Metformin